Most common type of scleritis ?
1. Non-necrotizing
2. Necrotizing
3. Posterior
4. None

Correct answer: 1. Non-necrotizing

Explanation: Ans. is 'a' i.e., Non-necrotizing Classification of scleritis It can be classified as follows : I. Anterior scleritis (98%) 1. Non-necrotizing scleritis (85%) Diffuse Nodular 2.Necrotizing scleritis (13%) With inflammation Without inflammation (scleromalacia perforans) H) Posterior scleritis (2%)